The middle meningeal artery enters the cranium through the ?
1. Foramen spinosum
2. Foramen rotundum
3. Foramen magnum
4. Foramen ovale

Correct answer: 1. Foramen spinosum

Explanation: The middle meningeal artery is the largest of the arteries supplying the dura mater. It is a branch of the maxillary artery and enters the cranium through the foramen spinosum.